Bullous pemphigoid is characterized by
1. Blisters coming on urticarial skin
2. A positive Nikolsky sign
3. Easily rupturing blisters
4. Acantholysis

Correct answer: 1. Blisters coming on urticarial skin

Explanation: Bullous pemphigoid is characterized by non-acantholytic blisters on trunk and limbs.It is characterized by a negative Nikolsky's sign, so B is incorrect.Blisters of bullous pemphigoid are tense and not at all easily ruptured, so C is incorrect.Typical tense blisters of bullous pemphigoid come on red/ urticarial base in the elderly population